Which of the following lesions does not give blood on
aspiration?
1. Hemangioma
2. Static bone cyst
3. Central giant cell granuloma
4. Aneurysmal bone cyst

Correct answer: 2. Static bone cyst